Sensory nerve supply of the middle ear cavity is provided by
1. Facial
2. Glossopharyngeal
3. Trigeminal
4. Vagus

Correct answer: 2. Glossopharyngeal

Explanation: Glossopharyngeal nerve -> Tympanic nerve/Tympanic plexus -> Middle ear
                                                                                                                Auditory tube
                                                                                                                Mastoid antrum